Which is not included in NVBDCP -
1. Dengue
2. Malaria
3. Japanese encephalitis
4. Plague

Correct answer: 4. Plague

Explanation: Ans. is 'd' i.e., Plague o NVBDCP includes 6 vector home diseases of public health importance in India :i) Malariaii) Dengueiii) Filariaiv) Kala-azarv) Japenese encephalitisvi) Chikungunyafever